Which type of trophoblstic disease has worst prognosis?
1. Post partum
2. After spontaneous abortion
3. After ectopic pregnancy
4. Hydatid mole

Correct answer: 1. Post partum

Explanation: ANSWER: (A) Post partumREF: COGDT 10th edp. 892WHO Scoring System based on prognostic factors ScorePrognostic Factors0124Age (years)<39>39 Antecedent PregnancyHydatidiform MoleAbortionTerm--interval*44-67-1212hCG (IU/1)<103103-104104-105>105ABO groups female x male--O x AAx OBAB--Largest tumour including uterine tumours--3-5 Cm>5 Cm--Site of metastases--Spleen, KidneyGIT, LiverBrainNumber of metastases identified--1-44-8>8Prior Chemo-therapy----Single DrugTwo or more